All are true about circulating changes in exercising muscle EXCEPT?
1. Complete flow stops on maximal tension reaching 70%
2. Blood supply increases by 30 times between contractions
3. Dilation of arterioles and pre-capillaries
4. Peripheral resistance increases

Correct answer: 4. Peripheral resistance increases

Explanation: Ans. D Peripheral resistance increasesRef: Ganongy 25th ed. pg. 549* Blood flow of resting skeletal muscle is low (2-4 ml/100 gm/min)* When the muscle contracts, it compresses the vessels and when it develops 70% of its maximal tension, blood is completely interrupted.* Between contractions the flow is increased by 30 times* This is due to dilatation of arterioles and precapillary sphincters cause of 10-100 times increase in open capillaries* During exercise there is a net fall in peripheral resistance, due to vasodilation in exercising muscles. Hence the SBP increases moderately and diastolic pressure remains unchanged or falls.